Capsule endoscopy is used for
1. GERD
2. Motility disorder
3. Bleeding
4. Peritoneal metastsis

Correct answer: 3. Bleeding

Explanation: Video capsule endoscopy provides visualization of the GI tract by transmitting images wirelessly from a disposable capsule to a data recorder worn by the patient.WCE (wireless capsule endoscopy) has been approved for a number of indications in patients as young as 2 years. Most common indications :obscure GI bleeding (OGIB), both overt and occult, including iron deficiency anaemia (2) suspected Crohn's Disease (3) surveillance of patients with polyposis syndromes; (4) suspected small-intestine tumours; (5) suspected or refractory malabsorptive syndromes (eg, celiac disease).Relative contraindications:(1) with known or suspected GI obstruction, strictures, or fistulas based on the clinical picture or pre-procedure testing, (2) with cardiac pacemakers or other implanted electromedical devices, (3) with swallowing disorders, (4) who are pregnant.However Multiphasic contrast-enhanced CT enterography with wireless capsule endoscopy found significantly greater sensitivity with CT enterography than capsule endoscopy (88 vs 38%) in identifying a source of occult gastrointestinal bleeding.In clinical practice, CT enterography and capsule endoscopy are complementary, particularly in the investigation of benign causes of blood loss(Ref: Grainger and Allison's diagnostic radiology 6th edition, page no 674 and Article on Wireless capsule endoscopyVolume 78, No. 6: 2013 GASTROINTESTINAL ENDOSCOPY)